All are water borne disease, except-
1. Leptospirosis
2. Schistosomiasis
3. Fish tape worm
4. Brucellosis

Correct answer: 4. Brucellosis

Explanation: Ans. is 'd' i.e., Brucellosis Water Borne diseases o Those caused by the presence of an infective agent a)Viral Hep. A, Hep E, Polio, Rota virus diarrhoea b)Bacteria Typhoid & paratyphoid. Cholera, Bacillary dysentry. E coli diarrhoea c)Prnto:oal A moebiasis, Gardiasis. d)Helminthic round worm. thread worm, hydatid disease. e) Leptospiral Weils disease. o Those due to presence of an aquatic host a) Snail Schistosomiasis b)Cyclops Guinea worm, fish tapeworm